All are TRUE regarding Net Protein Utilisation, except -
1. It is the increase in weight per unit weight of consumed
2. NPU of cow - milk is 81%
3. NPU of average Indian food is 50-80%
4. If NPU is low, more protein is required

Correct answer: 1. It is the increase in weight per unit weight of consumed

Explanation: Increase in weight per unit weight of consumed is called protein efficiency. NPU is the nitrogen retained by the body per nitrogen intake. REF. PARK'S TEXTBOOK OF PREVENTIVE AND SOCIAL MEDICAL 21ST EDITION. PAGE NO - 586)